Following antimicrobials are termed as type I calcimimetics that mimic the stimulatory effect of calcium, on the calcium sensing receptor to inhibit PTH secretion by the parathyroid gland EXCEPT:
1. Streptomycin
2. Hamycin
3. Neomycin
4. Gentamicin

Correct answer: 2. Hamycin